Delayed rigor mortis occurs with which poisoning:
1. Mercury
2. Lead
3. Arsenic
4. Strychnine

Correct answer: 3. Arsenic

Explanation: C i.e. Arsenic